Drug to be avoided in a patient allergic to penicillin is:
1. Sulphonamide
2. Tetracycline
3. Ampicillin
4. Chloramphenicol

Correct answer: 3. Ampicillin